Cell which does not migrate from the base of the crypt ends of villi is
1. Enterocyte
2. Endocrine cell
3. Paneth cell
4. Goblet cell

Correct answer: 3. Paneth cell

Explanation: Paneth cells, along with goblet cells, enterocytes, and enteroendocrine cells, represent the principal cell types of the epithelium of the small intestine. (A few may also be found sporadically in the cecum and appendix.) They are identified microscopically by their location just below the intestinal stem cells in the intestinal glands (crypts of Lieberkuhn) and the large eosinophilic refractile granules that occupy most of their cytoplasm. These granules consist of several anti-microbial compounds and other compounds that are known to be important in immunity and host-defense. When exposed to bacteria or bacterial antigens, Paneth cells secrete some of these compounds into the lumen of the intestinal gland, thereby contributing to maintenance of the gastrointestinal barrier.